Argyll Robertson pupil results from the lesion of
1. Tectum region
2. Ciliary ganglion
3. Lateral geniculate body
4. Accessory ganglion

Correct answer: 1. Tectum region

Explanation: Argyll Robertson pupil (ARP): Here the pupil is slightly small in size and reaction to near reflex is present but light reflex is absent, i.e., there is light near dissociation (to remember, the acronym ARP may stand for 'accommodation reflex present'). It is caused by a lesion (usually neurosyphilis) in the region of tectum. Ref:- A K KHURANA; pg num:-293